NARP syndrome is a type of:
1. Mitochondrial function disorder
2. Glycogen storage disorder
3. Lysosomal storage disorder
4. Lipid storage disorder

Correct answer: 1. Mitochondrial function disorder

Explanation: NARP ( Neuropathy, Ataxia, Retinitis pigmentosa ) disease is associated with mitochondrial DNA point mutation at base pair 8993 causinga substitution of thymidine by guanine in the gene coding for the subunit 6 of ATP synthase. Ref: Clinical Pediatric Neurology By Ronald B. David, Page 304.